S.A. node acts as a pacemaker of the heart because of the fact that it
1. Is capable of generating impulses spontaneously
2. Has rich sympathetic innervations
3. Has poor cholinergic innervations
4. Generates impulses at the highest rate

Correct answer: 4. Generates impulses at the highest rate

Explanation: Some cardiac fibers have the capability of self-excitation, a process that can cause automatic rhythmical discharge and contraction. This capability is especially true of the fibers of the heart 's specialized conducting system, including the fibers of the sinus node. For this reason, the sinus node ordinarily controls the rate of beat of the entire heartRef: Guyton and Hall textbook of medical physiology 13th edition. Page: 123